All of the following are known to cause biliary obstruction EXCEPT:
1. Clonorchis
2. Ascariasis
3. Ancylostoma
4. Fasciola

Correct answer: 3. Ancylostoma

Explanation: Ans. C i.e. Ancylostoma Site of locution of Ancylostoma is small intestine